For anesthesiology mild Systemic disease Included in ASA grade
1. 1
2. 3
3. 4
4. 2

Correct answer: 4. 2